The tip of the T3 spinous proces corresponds to
1. Lower extent of ligamentum nuchae
2. Superior angle of scapula
3. Root of the spine of scapula
4. Inferior angle of scapula

Correct answer: 3. Root of the spine of scapula

Explanation: The tip of the T3 spinous process corresponds to the root of the spine of the scapula. Other important surface markings of scapula: Superior angle of scapula : at the level of 2nd rib and vertebrae T2. Inferior angle of scapula: opposite the T7 vertebral spinous process. Spinous process and their significance Spinous process Significance C2 spinous process Most superior bony protuberance in the midline inferior to the skull C7 spinous process Lower extent of ligamentum nuchae T3 spinous process Level of the root of the spine of the scapula T7 spinous process Level of the inferior angle of the scapula T12 spinous process Midpoint of a vertical line between the inferior angle of the scapula and the iliac crest L4 spinous process Level marks the highest point of the iliac crest S2 spinous process Sacral dimples that mark the position of the posterior superior iliac spine are level Ref: Gray's Anatomy 41st edition Pgno: 748